Tzank smear -
1. HSV
2. Psittacosis
3. Cryptococcus
4. Ricketssia

Correct answer: 1. HSV

Explanation: Ans is 'a' i.e., HSV Tzank smearo It is done for vesiculobullous disorders.o A small, early, uninfected lesion should ideally be selected. The roof of the blister is removed with scissors, and the base of the blister gently scraped with a blunt scalpel so as not to produce bleeding. The material obtained is spread thinly on a glass slide.o It shows acantholytic cells (rounded cells with relatively large nucleus and a condensed cytoplasm) e g: pemphigus gp of disorders.o Multinucleated giant cells nad ballooning degeneration is a characteristic of herpes simplest, herpes zoster and vericella infection.